45 Year old homeless man has chronic cough and cavitatory lesion of lungs. His sputum is positive for acid fast bacilli which of the following is the peripheral form of defense by which his body fights this infection -
1. Antibody mediated
2. Cell mediated hypersensitivity
3. Ig A mediated hypersensitivity
4. Ig E mediated hypersensitivity

Correct answer: 2. Cell mediated hypersensitivity

Explanation: Infection with the tubercle bacilli induces cell mediated immunity which manifests as delayed hypersensitivity and resistance to infection (immunity ). The only specific immune mechanism effective against tubercle bacilli is cell mediated type. The helper T cell gets activated, releasing cytokines such as interferon gamma, interleukin 1 and 2, toxic necrosis factor alpha that exerts different biological effects. Reference : Anathanarayan & paniker's 9th edition, pg no:350